Mirena is a
1. Progesterone IUCD
2. Antiprogesterone
3. Used in abortions
4. Hormonal implant

Correct answer: 1. Progesterone IUCD

Explanation: LNG-IUS or Mirena
It is a levanorgestrel releasing device
It contains about 52 mg of levanorgestrel released at a rate approximately 20 microgram per day